Blow out fracture of orbit most commonly leads to fracture of:
1. Lateral wall
2. Roof of orbit
3. Medial wall of orbit
4. Posterior-medial wall of floor

Correct answer: 4. Posterior-medial wall of floor

Explanation: D i.e. Posterior-medial wall of floor